Ofatumumab is a monoclonal antibody against :
1. CD19
2. CD79a
3. CD20
4. CD25

Correct answer: 3. CD20

Explanation: Ofatumumab is a monoclonal antibody against CD20 used in the treatment of SLE.